Under Revised National Tuberculosis Control Program, drug used for chemoprophylaxis in children is
1. Rifampicin
2. Isoniazid
3. Ethambutol
4. Ciprofloxacin

Correct answer: 2. Isoniazid

Explanation: TB preventive therapy in children: The dose of INH for chemoprophylaxis is 10mg/kg administered daily for 6 months and it can be provided to (1) All asymptomatic cases of smear-positive (2) All HIV infected children who either have known exposure to an infectious TB case or tuberculin test positive but have no active TB (3) All tuberculin skin test positive children who are receiving immunocompromised therapy (4) A child born to a mother who was diagnosed to have TB in pregnancy should receive prophylaxis for 6months, provided congenital TB should be ruled out. Ref: Park's textbook of preventive and social medicine 23rd edition.